A 40 year old man with a history of Crohn's disease has recently undergone intestinal resection. Following the surgery he developed short bowel syndrome as a complication. Which of the following is not a feature of short bowel syndrome ?
1. Hypogastrinemia
2. Steatorrhea
3. Diarrhoea
4. Kidney stone

Correct answer: 1. Hypogastrinemia

Explanation: Short bowel syndrome is associated with hypergastrinemia rather than hypogastrinemia probably due to reduced small intestinal catabolism of circulating gastrin or due to reduced hormonal inhibition of acid secretion. Other features includes diarrhea, steatorrhea, increase in calcium oxalate calculi and increased incidence of cholesterol gall stones. Reference: Harrisons Principles of Internal Medicine, 18e chapter 294.